A child with central cyanosis and enlarged left ventricle the probable diagnosis is -
1. Tricuspid atresia
2. Eisenmengher's syndrome
3. Tetralogy of fallots
4. Anomolous pulmonary artery

Correct answer: 1. Tricuspid atresia

Explanation: Ans. is 'a' i.e., Tricuspid atresia o All the given options are cyanotic heart diseases. o But, amongst the given options, only tricuspid atresia causes left ventricular hypertrophy.